A diabetic patient is undergoing dialysis. Aspiration done around the knee joint would show-
1. A beta 2 microglobulin
2. AA
3. AL
4. Lactoferrin

Correct answer: 1. A beta 2 microglobulin

Explanation: TEXT BOOK OF PATHOLOGY HARSH MOHAN 6THEDITION PG NO83 Ab2-microglobulin (Abbb2M). This form of amyloid is seen in cases of long-term haemodialysis (for 8-10 years). As the name suggests, b2M is a small protein which is a normal component of major histocompatibility complex (MHC) and has b -pleated sheet structure. b2M is not effectively filtered during haemodialysis and thus there is high serum concentration of b2M protein in these patients. Although the deposit due to Ab2M may be systemic in distribution, it has predilection for bones and joints.